The most common primary cause of intraocular tumor in children-
1. Retinoblastoma
2. Rhabdomyosarcoma
3. Neuroblastoma
4. Melanoma

Correct answer: 1. Retinoblastoma

Explanation: *Most common intraocular tumor of childhood is retinoblastoma. Ref:Khurana 7th/e p.314,